The resting membrane potential of a cell is due to permeability of
1. K+
2. Na+
3. Ca++
4. Cl-

Correct answer: 1. K+

Explanation: K+ permeability is greater than Na+ permeability, therefore, K+channels maintain the RMP.(Ref: Textbook of physiology AK Jain 5th edition page no.35)